Yawning is a feature of
1. Alcohol withdrawl
2. Cocaine withdrawl
3. Cannabis withdrawl
4. Opoid withdrawl

Correct answer: 4. Opoid withdrawl

Explanation: Opoid withdrawl